Cell cycle specific anti-cancerous drug is?
1. Cyclophosphamide
2. Vincristine
3. Nitrogen mustard
4. Doxorubicin.

Correct answer: 2. Vincristine

Explanation: Ans. b (Vincristine). (Ref. Harrison Principles of Internal Medicine, 16th ed., 469 Fig. 70.3)CYCLE SPECIFIC ANTICANCEROUS DRUGSS-Phase specific drugsM-Phase specific drugsG,Phase specific drugsHydroxyurea,Methotrexate,Dactinomycin,Cytarabine,5-FU,MercaptopurineThiogauanine,ColchicinesVinca alkaloids and taxols (e.g., vincristine, vinblastine, paclitaxel).Vinca alkaloids (vincristine, vinblastine) inhibit mitotic spindle formation while taxels (paclitaxel) stabilize the mitotic spindles. Thus are known as'Spindle poisons'.Intercalaters: Anthracyclines and actinomycin D.By crosslinking between adjacent guanine in DNA: Cisplatin.By DNA breakage: Bleomycin.